The marker for B lymphocyte is?
1. CD 19
2. CD 68
3. CD 34
4. CD 4

Correct answer: 1. CD 19

Explanation: Answer is A (CD 19) : CD 19 is a marker for B lymphocytes. Markers for various lineage Lymphoid lineage B Lineage T Lineage CD79a CD3 (m/cyt) cyt IgM Anti-TCR cilfl cyt CD22 Anti-TCR y/c5 CD19 CD2 CD10 CD5 CD20 CD8 CD10 TdT TdTT CD24 CD7 CD1a Myeloid lineage Myeloid Lineage Anti-MPO (monoclonal) MPO cytochemistry CD117 CD13 CD33 CD65s Anti-MPO (polyclonal) CD14 CD15 CD64